Marsh's test is used for detection of -
1. Arsenic
2. Lead
3. Strychnine
4. Mercury

Correct answer: 1. Arsenic